Investigation of choice for Asherman syndrome is -
1. USG
2. HSG
3. Hysteroscopy
4. Laparoscopy

Correct answer: 3. Hysteroscopy

Explanation: Ans. is 'c' i.e., Hysteroscopy * Asherman syndrome is characterized by uterine synechiae, usually results from destruction of large areas of endometrium by overzealous curettage.* The risk is maximum if curettage is done in the postpartum period.* It leads to infertility.* If pregnancy follows, the amount of remaining endometrium may be insufficient to support the pregnancy, and abortion may ensue.* A hysterosalpingogram that shows characteristic multiple filling defects may indicate Asherman syndrome, but hysteroscopy most accurately and directly identifies this condition. It is both diagnostic & therapeutic* Recommended treatment consists of lysis of the adhesions via hysteroscopy and placement of an intra-uterine contraceptive device to prevent recurrence. Some practitioners also recommend continuous high-dose estrogen therapy for 60-90 days following adhesiolysis.